true about cox2 are all except
1. It is constitutionally expressed on some cell surfaces
2. Activation of cox2 leads to Ultra protective effect on gastric mucosa
3. Induced at site of inflammation
4. It is utilised in generation of eicosanoids with ring structure

Correct answer: 2. Activation of cox2 leads to Ultra protective effect on gastric mucosa

Explanation: Cox 2 is constitutively active within kidney endothelium and brain recommended doses of Cox 2 inhibitors cause renal toxicity is similar to those associated with other NSAIDS Cox 2 inhibitors have been shown to have less gastrointestinal Side Effects because cox1 is mainly involved in protection from gastric ulcer Constitutive Cox 1 isoform tend to have housekeeping in function while Cox 2 is induced during inflammation Cox have role in synthesis of prostaglandins from architonic acid prostaglandins have 20 carbon fatty acids containing cyclopentane ring Selective Cox 2 inhibitors increase the risk of myocardial infraction Refer kDT 6/e p178